Which is the most common site for chronic gastric ulcer?
1. Lesser curvature at incisura
2. High on lesser curvature
3. Greater curvature
4. Pre-pyloric

Correct answer: 1. Lesser curvature at incisura

Explanation: Modified Johnson classification for gastric ulcers Type 1 Gastric ulcer is the most common type of gastric ulcer Type Location Acid level I Lesser curvature at incisura Low to normal II Gastric body with duodenal ulcer Increased III Prepyloric Increased IV High on lesser curvature Normal V Anywhere Normal, NSAID-induced Type II gastric ulcer has the maximum risk for malignancy.